Current of injury is -
1. P wave
2. ST segment
3. QRS complex
4. QT interval

Correct answer: 2. ST segment